Cell-mediated immunity is-
1. Type I
2. Type II
3. Type III
4. Type IV

Correct answer: 4. Type IV

Explanation: Cell-mediated (Type) hypersensitivity

It is initiated by activated T-lymphocytes.

It includes
1. Delayed-type hypersensitivity - mediated by CD-4 T cells.
2. T-cell mediated cytotoxicity - mediated by CDS- T cells.
1. Delayed-type hypersensitivity

In delayed hypersensitivity reactions, CD-4 T cells and macrophages are primarily involved.
The term delayed is used to differentiate it from a secondary' cellular response, which appears at 48-72 hours after antigen exposure and from an immediate hypersensitivity response, which generally appears within minutes,
Delayed hypersensitivity is a major mechanism of defence against various intracellular pathogens, including mycobacteria, fungi and certain parasites.

Pathophysiology

Delayed hypersensitivity is characterized by the formation of granuloma - a localized mass that contains activated macrophages (epithelioid) cells surrounded by colour of lymphocytes and giant cells.
It is also called granulomatous Inflammation.
The cellular events start when an antigen (eg tuberculin antigen) on antigen presenting cell comes in contact with naive CD-4 T cells → naive CD-4 T cells recognize this peptide antigen in association with MHC – II and differentiate into T4-l cells.
Induction of T4-l cells is of central importance because the expression of delayed hypersensitivity largely depends on the cytokines secreted by T4-l cells.

2. T-cell mediated cytotoxicity

In this type of hypersensitivity, cytotoxic T cells kill virus-infected or tumor cells.